Functional analysis of kidney is best done by
1. Radionuclide scanning
2. IVP
3. Ultrasound
4. MRI

Correct answer: 1. Radionuclide scanning

Explanation: A i.e. Radionuclide scanning